The danger of internal podalic version in obstructed labour is :
1. Perineal tear
2. Cervical tear
3. Rupture of lower uterine segment
4. Rupture of upper uterine segment

Correct answer: 3. Rupture of lower uterine segment

Explanation: Rupture of lower uterine segment